House maids knee is bursitis of:
1. Prepatellar bursa
2. Infrapatellar bursa
3. Olecranon
4. Ischial bursa

Correct answer: 1. Prepatellar bursa

Explanation: Ans. is 'a' i.e. Prepatellar bursa Common bursitisClergyman's knee*-infrapatellar bursitisHousemaid's knee*-Prepatellar bursaStudent's elbow *-Olecranon bursitisWeaver's bottom*-ischial bursitisTailor's ankle*-on lateral ankleBunion*-on great toe